A 25-year-old man presents with 3 months of polyuria and increased thirst. The patient suffered trauma to the base of the skull in a motorcycle accident 4 months ago. A 24-hour urine collection shows polyuria but no evidence of hematuria, glucosuria, or proteinuria. The pathogenesis of polyuria in this patient is most likely caused by a lesion in which of the following areas of the brain?
1. Adenohypophysis
2. Brain stem
3. Mammillothalamic tract
4. Neurohypophysis

Correct answer: 4. Neurohypophysis

Explanation: - Given clinical features suggests the diagnosis of central diabetes insipidus. Central diabetes insipidus -May be caused by head trauma that damages posterior lobe of pituitary (neurohypophysis) which interrupts the secretion of ADH. - Decrease in ADH -Polyuria & | thirst - Associated with brain tumors, particularly craniopharyngiomas.